In which type of chromatography, the proteins are bound to another substance:
1. Hydrophobic chromatography
2. Affinity chromatography
3. Paper chromatography
4. Gel chromatography

Correct answer: 2. Affinity chromatography

Explanation: B i.e. Affinity chromatography